Cat acts as a reservoir in which of the following?
1. Rabies
2. Toxoplasma gondii
3. Streptocerca infection
4. Plague

Correct answer: 2. Toxoplasma gondii

Explanation: “Toxoplasma gondii is a coccidian protozoa of worldwide distribution that infects a wide range of animals and birds but does not appear to cause disease in them.
The normal final hosts are strictly the cat and its relatives in the family Felidae, the only hosts in which the oocyst-producing sexual stage of Toxoplasma can develop”